Which of the following is most accurate biometric predictor of gestational age
1. Head Circumference
2. Crown - rump length
3. Abdominal circumference
4. Gestational sac mean diameter

Correct answer: 2. Crown - rump length

Explanation: Crown - Rump Length is most accurate biometric predictor of gestational age.